Drug of choice in dermatitis herpetiformis is :
1. Corticosteroids
2. Colchicine
3. Dapsone
4. Chloroquine

Correct answer: 3. Dapsone